Which is/ are false regarding intra arterial injection of thiopentone
1. Stellate ganglion block can cause sympathectomy and vasodilation
2. Papaverine is used for dilatation of artery which is in spasm
3. Crystallization of thiopentone in arterial blood is the main cause
4. stop the injectionand remove the cannula

Correct answer: 4. stop the injectionand remove the cannula

Explanation: Following accidental intra-arterial injection of thiopentone, immediatelystop the injectionandkeep the the cannula intact. Intra-arterial injection may cause acute, severe extremity ischaemia and gangrene. The degree of injury is related to the concentration of the drug. Treatment: Theneedle should not be removedand saline is administered the same needle so as to dilute the drug Administering heparinto prevent thrombosis Brachial plexus block or stellate ganglion blockto relieve vasospasm